In 'Down's syndrome, the shape of the head is
1. Oxycephalic
2. Scaphocephalic
3. Brachicephalic
4. Plagiocephalic

Correct answer: 3. Brachicephalic

Explanation: Down syndrome is due to trisomy 21. A child with down syndrome presents with brachycephaly with flat occiput. Other features include flat face,upward slanted palpebral fissure ,epicanthal folds,speckled irises and delayed fontanel closure . Image : characteristics of Down syndrome (DS) skull and brain. A: lateral views of euploid and DS skulls. Left: the face of an euploid young adult presents downward growth of the maxillae; therefore, the distance between the inferior orbital ridge, the nasal spine, and the alveolar crest is considerably increased. The mandible is angled. Right: although the DS skull grows to nearly the same size as the normal adult, it presents brachycephaly, which means "short headed," and occurs when the right and left coronal sutures close prematurely. Brachycephaly results in an abnormally broad head with a high forehead. It is often associated with other craniofacial abnormalities. In DS, the face is small, with underdeveloped maxillae, and the mandible is still relatively straight. Reference: Nelson TB of pediatrics 19th edit pg 402.